The weight of placenta and fetus are equal at
1. 14 weeks
2. 16 weeks
3. 17 weeks
4. 21 weeks

Correct answer: 3. 17 weeks

Explanation: In the first trimester, placental growth is more rapid than that of the fetus. But by approximately 17 weeks, placental and fetal weights are approximately equal. Ref:Williams Obs 24e pg 95.